Smith's fracture involves which bone :
1. Distal radius
2. Proximal ulna
3. Metatarsal
4. Patella

Correct answer: 1. Distal radius

Explanation: Smith fracture is the fracture of distal third of radius with palmar displacement (reverse colle's fracture).